Phytobezoars are composed of
1. Hair
2. Vegetable Matter
3. Undigested food
4. Desquamated epithelial cells

Correct answer: 2. Vegetable Matter

Explanation: Answer- B. Vegetable MatterPhytobezoars are composed of vegetable matter and, are usually seen in association with gastroparesis or gastric outlet obstruction.